A 30-year-old female presents with a palpable mass in her left breast that has been steadily increasing in size over the past year. On examination it is well-circumscribed and freely mobile and appears to be around 5.7 cm in its greatest dimension. A core needle biopsy is performed and shows the following. What is the most probable diagnosis?
1. Fibroadenoma
2. DCIS
3. Intraductal papilloma
4. Giant fibroadenoma

Correct answer: 4. Giant fibroadenoma

Explanation: Fibroadenomas are benign solid tumours composed of stromal and epithelial elements. After carcinoma, fibroadenoma is the second most common tumour in the breast and is the most common tumour in women younger than 30 years. Clinically, they are firm tumours that may increase in size over a period of several months. They slip easily under the examining fingers and may be lobulated. Treatment of fibroadenoma follows that for any unexplained solid mass within the breast A tissue diagnosis is required to rule out malignancy and may be accomplished by image-guided core needle biopsy or excisional biopsy. Two subtypes of fibroadenoma are recognized. 1. Giant fibroadenoma is a descriptive term applied to a fibroadenoma that attains an unusually large size, typically greater than 5 cm. 2. Juvenile fibroadenoma refers to the occasional large fibroadenoma that occurs in adolescents and young adults and histologically is more cellular than the usual fibroadenoma.